All of the following drugs are non-selective β blockers with no pharmacological action on any other receptor, EXCEPT:
1. Propranolol
2. Timolol
3. Sotalol
4. Carvedilol

Correct answer: 4. Carvedilol